A 40 year old woman presents with a 2 year old H/o erythematous papulo pustular lesions on convexities of the face. There is a background of erythema & telengiectasia. The most likely diagnosis is –
1. Acne vulgaris
2. Acne rosacea
3. SLE
4. Polymorphic light eruption

Correct answer: 2. Acne rosacea

Explanation: This woman has :-
i) Papulo-pustular lesion
ii) Background of erythema and telangectasia
iii) Involvement of face
iv) Age → 40 years
Papulo-pustular lesion on face are caused by acne vulgaris and Acne rosacea, but presence of telangectasia and age (40 years) suggest the diagnosis of Acne rosacea.